A split thickness flap is indicated when:
1. Osseous craters are present
2. Fenestrations and Dehiscence are suspected
3. Buttressing bone formation is present
4. Three walled osseous defects are encountered

Correct answer: 2. Fenestrations and Dehiscence are suspected